Which one of the following is not true for an α-helix
1. It is one of the most important secondary structure
2. It has a net dipole moment
3. All hydrogen bonds are aligned in the same direction
4. Long stretches of left handed α-helices occur in proteins

Correct answer: 4. Long stretches of left handed α-helices occur in proteins

Explanation: Right-handed (clockwise) α-helix is more stable and therefore is the usual α-helix pattern found in the natural secondary structure. Left-handed α-helix is not common.
α-helix is the most common secondary structure in proteins.
α-helix has an overall dipole moment: amino terminus of an alpha helix is positive and carboxy terminus is negative.
All hydrogen bonds in a-helix are parallel (i.e. in the same direction).